Which of the following organisms is found in deep carious lesions rather than in incipient lesions?
1. Streptococci
2. Lactobacilli
3. Veillonella
4. Bateroides

Correct answer: 2. Lactobacilli